True about histology in infilterating lobular breast carcinoma:
1. Single file pattern
2. Pleomorphic cells in sheets
3. Cribriform pattern
4. Pin wheel pattern

Correct answer: 1. Single file pattern

Explanation: Ans. (a) Single file pattern(Ref: R 9th/pg 1065; 8th/pg 1085)Lobular carcinoma (invasive) of breast-Histologic hallmark: presence of discohesive infiltrating tumor cells as single cells in single file pattern Q, including signet-ring cells Q containing intracytoplasmic mucin droplets Q